Treatment of Acute Barbiturate poisoning includes which of the following?
1. Forced alkaline diuresis
2. Acidification of urine
3. Penicillamine administration
4. CaNa EDTA administration

Correct answer: 1. Forced alkaline diuresis

Explanation: Ans. is 'a' i.e., Forced Alkaline diuresis Acute barbiturate poisoning* It is mostly suicidal, sometimes accidental.* Manifestations are due to excessive CNS depression - patient is flabby and comatose with shallow and failing respiration, fall in BP and cardiovascular collapse, renal shut down, pulmonary complications and bullous eruption (barbiturate blisters).* Treatment:i) Gastric lavageii) Supportive measures (O2, assissed respiration, maintenance of BP).iii) Haemodialysisiv) Forced alkaline diuresis